A reversible change occurring in which a mature cell type is replaced by another mature cell, is called:
1. Dysplasia
2. Metaplasia
3. Hyerplasia
4. Hypertrophy

Correct answer: 2. Metaplasia

Explanation: Ref: Robbin's Pathology, 9th ed. pg. 37* Metaplasia is an adaptive response of a cell in response to stress.* It is a reversible change in which a differentiated (mature) cell type is replaced by another differentiated cell type.* It can be of two types:# Epithelial metaplasia* Squamous metaplasia: MC seen in respiratory tract (in response to smoking) where columnar epithelium is replaced by squamous epithelium.* Glandular metaplasia: Metaplasia of squamous epithelium into columnar (glandular) epithelium. Example Barret's esophagus (metaplasia of stratified squamous epithelium of esophagus is replaced by intestinal-like columnar cells).# Connective tissue metaplasia:* One type of connective tissue is replaced by another.* Example: Myositis ossificans.* Hypertrophy: Increased cell size in response to increase in workload. It occurs in tissues incapable of cell division.* Hyperplasia: increase in cell number in response to growth factors or hormones.* Atrophy: Decrease in cell and organ size as a result of disuse or decreased nutrient supply.